All are true about xenon anaesthesia, except
1. Rapid induction and recovery
2. Low potency
3. Non explosive
4. High blood solubility

Correct answer: 4. High blood solubility

Explanation: Xenon is 4.5 times heavier than air. It is an inert gas. Blood gas partition coefficient is 0.14. It has low blood solubility.